Mechanism of action of 2-4 Dinitrophenol is?
1. Inhibition of electron transfer
2. Inhibition of ATP synthase
3. Uncoupling of phosphorylation from electron transfer
4. Inhibition of ATP-ADP exchange

Correct answer: 3. Uncoupling of phosphorylation from electron transfer

Explanation: ANSWER: (C) Uncoupling of phosphorylation from electron transferREF: Harper 27th ed ch: 13, Lehninger s Principles of Biochemistry 4th Ed page 707Indirect Repeat Biochemistry 2012 Session 2See Biochemistry 2013 Session 2 for details of Respiratory Poisons, Inhibitors & Uncouplers